Snowflake cataract is associated with:
1. Hypertension
2. Adult diabetes
3. Trauma
4. Juvenile diabetes

Correct answer: 4. Juvenile diabetes

Explanation: Ans. D: Juvenile diabetes Snowflake Cataracts: This type of cataract represents dots of various sizes (and sometimes various colours) distributed throughout the cortex surrounding the nucleus for 360deg. This is the most common cataract seen in Down Syndrome (extra copy of chromosome 21 also called trisomy 21) and juvenile diabetes mellitus. These usually have very little effect on vision. Adult diabetic cataract shows cortical and/or nuclear and/or subcapsular (same as age related)